Enterotoxin responsible for most of the cases of food poisoning by staphylococcus -
1. Type E
2. Type C
3. Type B
4. Type A

Correct answer: 4. Type A

Explanation: Enterotoxin- Staphylococcus Antigenic types A-E, G-I, R-T and V Type A is responsible for most of the cases. Type F causes TS Syndrome. Incubatory Period: 1-6 hr due to preformed toxin Site of action: The toxin stimulates the vagus nerve and vomiting center of the brain. It also stimulates intestinal peristaltic activity. Heat stable (not destroyed after heating food) Detected by ELISA, Latex agglutination test and toxin gene detection by PCR.